Most virulent variety of shigellosis is caused by -
1. S. Dysenteriae
2. S. Sonnei
3. S. Flexneri
4. S. Boydii

Correct answer: 1. S. Dysenteriae